The following is not a features of  Alzheimer's disease
1. Neuro fibrillory tangles
2. Senile (neuritic) plaques
3. Amyloid angiopathy
4. Lewy bodies

Correct answer: 4. Lewy bodies

Explanation: Lewy bodies are commonly found in Parkinsonism.